Pain rating index is provided by –
1. Faces scale
2. Visual analogue scale
3. Mc Gill questionniare
4. CHEOP scale

Correct answer: 3. Mc Gill questionniare

Explanation: ↵
McGill questionniare provides three quantitative measure : -

Pain rating index (PRI),
Number of words used, and
Present pain intensity (PPI).